Epiglottis is derived from
1. 1st arch
2. 2nd arch
3. 3rd arch
4. 4th arch

Correct answer: 4. 4th arch